The following anti glaucoma drug increases uveoscleral outflow –
1. Latanoprost
2. Timolol
3. Pilocarpine
4. Acetazolamide

Correct answer: 1. Latanoprost